For cephalometric projection, what should be the distance between source and the subject?
1. 5 feet
2. 6 feet
3. 7 feet
4. 9 feet

Correct answer: 1. 5 feet

Explanation: Distance between source and the subject = 5 feet.
Distance between film and the subject = 15 cm.